A 63-year-old chronic alcoholic presents with weight loss, anorexia, and abdominal pain radiating to the back. Physical examination indicates a palpably enlarged gallbladder, and laboratory studies demonstrate conjugated hyperbilirubinemia. Computed tomography demonstrates a mass in the head of the pancreas. Which of the following is associated with the diagnosis of pancreatic adenocarcinoma?
1. Asterixis
2. Gallstone ileus
3. Murphy sign
4. Trousseau's syndrome

Correct answer: 4. Trousseau's syndrome

Explanation: Trousseau's syndrome/Migratory thrombophlebitis, is associated with carcinoma of the pancreas. -Asterixis is a flapping tremor associated with hepatic encephalopathy. -Gallstone ileus is a complication of cholelithiasis when the gallstone erodes through the gallbladder into the adjacent small bowel. -Murphy sign is associated with acute cholecystitis.